Amyloidosis is most commonly seen in DM -
1. Maturity onset DM
2. Type I DM
3. Type II DM
4. Hypertension

Correct answer: 3. Type II DM

Explanation: (C) (Type II DM) (252- Robbins 8th) (155 - Robbins - Basic pathology 9,h)* The two best example of localized amyloidosis are Alzheimer's disease and Type II DM* In type II DM it is the islet amyloid polypeptide (AIAPP) also known as Amylin.* Amyloidosis in fundamentally a disorder of protein misfolding**.Classification of AmyloidosisClinicopathologic CategoryAssociated Disease (s)Major Fibril ProteinChemically Related Precursor ProteinSystemic (Generalized) AmyloidosisImmunocyte dyscrasis with amyloidosis (primary amyloidosis)Multiplex myeloma and other monoclonal plasma cell proliferationsALImmunoglobulin light chains, chiefly l typeReactive systemic amyloidosis (secondary amyloidosis)Chronic inflammatory conditionsAASAAHemodialysis-associated amyloidosisChronic renal failureAb2mb2-MicroglobulinHereditary AmyloidosisFamilial Mediterranean fever AASAAFamilial amyloidotic (severe types) ATTRTransthyreinSystemic senile amyloidosis ATTRTranshyretin Localized Amyloidosis Senile cerebralAlzheimer diseaseAbAPPEndocrine Medullary carcinoma of thyroid A CalCalcitoninIslets of LangerhansType 2 diabetesAIAPPIslet amyloid peptideIsolated atrial amyloidosis AANFAtrial natriuretic factor* On histologic examination, the amyloid deposition is always extracellular and begins between cells.* Kidney - amyloid deposits are found principally in the glomeruli. Liver - amyloid deposits first appear in the space of Disse. They do not provoke an inflammation response.* Protein involved in inter cellular connection is - connexin.* MC employed stain for amyloidosis is - Congored with polarized light*** "Pinch" purpura is diagnostic of systemic primary amyloidosis.